Acute coronary Syndrome includes all except
1. STEMI
2. NSTEMI
3. Stable angina
4. Unstable angina

Correct answer: 3. Stable angina